At what age child begins to use past and present tense
1. 1 Years
2. 2 Years
3. 18 Months
4. 30 Months

Correct answer: 4. 30 Months

Explanation: Begin to identify objects from a group by their function and parts (ie. "which one has wheels", "which one can we eat") Begin to use verbs with "ing" endings (i.e. "eating"); Early concepts such as "big, little" are identified; Child will use "no, not" and answer "where" questions Reference: GHAI Essential pediatrics, 8th edition